Oral contraceptives are not given with:
1. Streptomycin
2. Gresiofulvin
3. Pyraziniamide
4. Ethambutol

Correct answer: 2. Gresiofulvin

Explanation: Griseofulvin is an enzyme inducer which increases the metabolism of the oral contraceptives and thus causes its failure. (Ref.Essentials of medical pharmacology TD Tripathi 7th edition page no.326.)